A single force applied at which point of a tooth will allow complete translation of the tooth:
1. At the apex
2. At the incisal stage
3. At the center of resistance
4. At the center of rotation

Correct answer: 3. At the center of resistance